Olecranon process of ulna helps in formation of?
1. Radial notch
2. Trochlear notch
3. Olecranon fossa
4. Coronoid fossa.

Correct answer: 2. Trochlear notch

Explanation: Ans. is 'b' i.e., Trochlear notch Inner surface of olecranon process forms trochlear notch for articulation of trochlea of humerus. Radial notch is seen in lateral part of upper end of shaft (not on olecronon). Olecranon fossa and coronoid fossa are part of lower end of humerus.